A 65-year-old gentleman is having tremors, rigidity and reduced mobility. He is likely to be benefited by?
1. Bromocriptine
2. Alpha methyl dopa
3. Reserpine
4. Acyclovir

Correct answer: 1. Bromocriptine

Explanation: Ans. is 'a' i.e., Bromocriptine o Major pathology in parkinsons disease is -Decrease in nigrostriatal dopaminergic neurons.Increase in cholinergic activity:Two major strategies for the treatmentof parkinson's disease is